Trpohic hormones refer to:
1. Hormones secreted from hypothalamus
2. Pituitary gland hormones
3. Hormones that stimulate the secretion of other endocrine glands
4. Hormones of posterior pituitary

Correct answer: 3. Hormones that stimulate the secretion of other endocrine glands

Explanation: the term "TROPHIC" means , to stimulate Ref: guyton and hall textbook of medical physiology 12 edition